Which of the following disorders is most closely associated with thyroid disease?
1. Schizophrenia
2. Alcohol use disorder
3. Depression
4. Phobia

Correct answer: 3. Depression

Explanation: Ans. C. DepressionDepressive symptoms have been known to be one of the most prominent features of clinical thyroid disease, particularly hypothyroidism. Beginning in the late part of the 19th century, depression was seen as prominent component of clinical hypothyroidism, although other psychiatric symptoms were often present. As a result of the inverse relationship between thyroid function and depression observed in endocrine patients, it was hoped that thyroid hormones-particularly thyroid hormone deficiency-might be a biological factor in the etiology of unipolar and bipolar mood disorders. Thyroid hormones are used in psychiatry, either alone or as augmentation, to treat persons with depression or rapid-cycling bipolar I disorder. They can convert an antidepressant-nonresponsive person into an antidepressant-responsive person.